Elevated ESR is seen in following conditions except:
1. Polymyositis rheumatica
2. Multiple myeloma
3. Temporal arteritis
4. Polycythemia rubra

Correct answer: 4. Polycythemia rubra

Explanation: Polycythemia rubra: Elevated hemoglobin level and hematocrit: due to increased number of red blood cells * Platelet count or white blood cell count may also be increased. Erythrocyte sedimentation rate (ESR) is decreased due to an increase in zeta potential. Low erythropoietin (EPO) levels.